Monitoring of β-HCG Useful in Management ofa) H.moleb) Choriocarcinomac) Ectopic Pregnancyd) Endodermal Sinus Tumor
1. ab
2. abc
3. acd
4. bcd

Correct answer: 2. abc

Explanation: β-hCG levels are helpful in monitoring:
a. H. mole:
“ A method of detecting the persistent mole and development of choriocarcinoma is by estimating hCG is the serumurine”.
Shaw 14/e, p 231
b. Chorio carcinoma:
β-hCG is a specific marker for choriocarcinoma.
The levels of b-hCG are monitored following chemotherapy and complete regression of tumor is indicated when three consecutive weekly radioimmunoassays of hCG in serum are negative.
Shaw 14/e, p 235
c. Ectopic pregrancy:
In case of unruptured ectopic pregnancy which is managed medically with methotrexate or by conservative surgerymonitoring is done by estimating β-hCG levels.
“Following conservative surgery or medical treatment ,estimation of β-hCG should be done weekly till the value becomes < 5.0 mIU/ml”
Dutta Obs 6/e, p 191
d. Endodermal sinus tumor-
‘These tumors are yolk sac tumors and their markers are Alpha fetoprotein and antityrypsinso their levels and not betahCG. So hCG levels are not used for monitoring.
Shaw 14/e, p 380